Middle piece of sperm tail made up of?
1. Golgibody
2. Centriole
3. Mitochondria
4. Lysosome

Correct answer: 3. Mitochondria

Explanation: Ans. (c) MitochondriaRef: IB singh 5/e, p 22, Gray's anatomy 39th ed. / 1308, Guyton 12th ed./975